Constitution by which we can force people on hunger strick to eat is -
1. Article 21
2. Article 35
3. Article 48
4. Article 52

Correct answer: 1. Article 21

Explanation: Ref:The essential of forensic medicine and toxicology Dr.K.S NARAYAN REDDY 32nd edition pg no 321 Right to life as guaranteed under the article 21 of the Constitution of India doesnot include the right to die , and such arrest and forcible feeding of persons going on hunger strike is lawful